In oral poisoning with carbamate insecticides, .............................. may be hazardous:
1. Pralidoxime
2. Atropine
3. Magnesium sulfate purgative
4. Gastric lavage with activated charcoal

Correct answer: 1. Pralidoxime

Explanation: Oximes are ineffective in carbamate poisoning. Rather, these can worsen the poisoning due to weak anticholinesterase activity of its own.